Sodium channels are specifically blocked by ?
1. Nifedipine
2. Tetra Ethyl lead
3. Tetradotoxin
4. Choline

Correct answer: 3. Tetradotoxin

Explanation: C i.e. Tetradotoxin